A 32-year-old woman presents with amenorrhea, galactorrhea, and visual field defects, all of several months duration. Magnetic resonance imaging reveals a hypophyseal mass impinging on the optic chiasm. This is most likely
1. Prolactinoma
2. Somatotropic adenoma.
3. Corticotropic adenoma.
4. Craniopharyngioma.

Correct answer: 1. Prolactinoma

Explanation: - Given clinical features are characteristic to Prolactinoma. Prolactinoma Most common hormone-secreting tumor of pituitary. Hyperprolactinemia results in amenorrhea C/f : Galactorrhea, loss of libido & infertility Tumor is generally small; however about 10% are large enough to impinge on adjacent structures & bitemporal hemianopia from pressure on optic chiasma is common. Somatotropic adenoma (Acidophilic adenoma) secretes growth hormone, causing Acromegaly in adults or gigantism in children. Corticotropic adenoma secretes ACTH, causing Cushing syndrome of pituitary origin (Cushing disease). Craniopharyngioma is non-endocrine tumor of Rathke's pouch origin; that can be locally destructive, indirectly causing panhypopituitarism.